Gatekeeper of the heart is:
1. SA node
2. AV node
3. Purkinje fibers
4. Bundle of His

Correct answer: 2. AV node

Explanation: “The AV node is located on the floor of the right atrium. It has an intrinsic firing rate of 40-60 beats per minute. It is known as the gatekeeper of the heart, because it regulates impulses coming from the SA node.”